An 1 year old girl is brought to OPD by her parents with complaint of dry flakes and yellow, greasy scales with reddened skin on scalp and redness over the face. On physical examination there is lymphadenopathy and hepatosplenomegaly. On X-Ray of long bones multiple lytic lesions are seen. what is the most likely cause of all this?
1. Hand- Schuller- Christian disease
2. Eosionophilic granuloma
3. Letterer-Siwe disease
4. Unifocal Langerhans cell histiocytosis

Correct answer: 3. Letterer-Siwe disease

Explanation: From the above case history, this seems to be likely case of Letterer-Siwe disease as- - child is < 2 years old - skin lesions such as seborrhic dermatitis is seen on skull. - Multiple lytic lesions are seen on X-ray of bones. All above signs indicate towards Letterer-Siwe disease which is a multifocal and multisystem disease.